Least amount of co2 is in
1. Anatomical dead space-end inspiration phase
2. Anatomical dead space-end expiration phase
3. Alveoli-end inspiration phase
4. Alveoli-end expiration phase

Correct answer: 1. Anatomical dead space-end inspiration phase

Explanation: Ans. (a) Anatomical dead space-end inspiration phase(Ref: Ganong, 25th ed/p.630)Anatomical dead space containing atmospheric air at the end of inspiration will have the least amount of CO2 - because atmospheric air has negligible CO2 Anatomical dead space-end expiration phase: Here alveolar gas rich in CO2 occupies the Anatomical dead space dead space areaAlveolar air contains a mixture of O2 from the inspired air and CO2 which is continuously added to it to exhale out